What is contraindication for ECT ?
1. Arhmia
2. Epilepsy
3. HIV
4. Cerebral aneurysm

Correct answer: 4. Cerebral aneurysm

Explanation: Ans. is 'd' i.e., Cerebral aneurysm Contraindications of ECT Absolute : - Increased intracranial tension.cerebrovascular response to ECT include marked increased in cerebral blood flow and blood flow velocity. Cerebral oxygen consumption increases as well. The rapid increase in systemic blood pressure may transiently overwhelm cerebral autoregulation and may result in increased in intracranial pressure. Therefore, the use of ECT is prohibited in patients with known space occupying lesion (brain tumor) or head injury, cerebral (intracranial) aneurysm. Relative : - Recent myocardial infarction, severe hypertension, cerebrovascular accident, severe pulmonary disease, Retinal detachment, Pheochromocytoma.